Imbe-Fick law is associated with
1. Schiotz tonometry
2. Applanation tonometry
3. Pachymetry
4. Keratometry

Correct answer: 2. Applanation tonometry

Explanation: Applanation tonometry The concept of applanation tonometry was introduced by Goldmann is 1954. It is based on Imbe-fick lawwhich states that the pressure inside a sphere (P) is equal to the force (W) required to flatten its surface divided by the area of flattening (A); i.e., P=w/A Reference: AK Khurana Comprehensive Ophthalmology, 6th edition, pg no. 511